Which of the glands are affected in Fox Fordyce disease?
1. Sebaceous glands
2. Eccrine glands
3. Pilosebaceous units
4. Apocrine glands

Correct answer: 4. Apocrine glands

Explanation: Fox Fordyce disease is a disease of apocrine glands. It is an uncommon chronic disorder of sweat glands causing itchy lesions of the skin under the arms, in pubic area, around the nipple parts of genitalia and sometimes on chest and abdomen. It is characterized by by retention of apocrine sweat leading to the formation of yellow papules.